Eisenmenger syndrome is characterized by all except:
1. Return of left ventricle & right ventricle to normal size
2. Pulmonary veins not distended.
3. Pruning of peridpheral pulmonary arteries
4. Dilatation of central pulmonary arteries

Correct answer: 1. Return of left ventricle & right ventricle to normal size

Explanation: Answer is A (Return of left ventricle and right ventricle to normal size) Eisenminger syndrome is associated with severe pulmonary arterial hypertension and right ventricular hypertrophy. The right ventricular size will certainly not return to normal once eisenminger syndrome develops. Dilated central pulmonary arteries and rapid tapering of the peripheral pulmonary vasculature (pruning) are the radiographic hallmarks of Eisenminger's syndrome' - Braunwald. 'The hilar (central) area suggests pulmonary plethora whereas the peripheral lung fields suggets pulmonary oligemia' - Ghai 6th/415 'Pulmonary hypertension develops due to pulmonary vascular obstructive disease affecting the 'pulmonary arteries'. 'Pulmonary vein' will not be distended.